There is an outbreak of MRSA infection in a ward. What is the best way to control the infection
1. Vancomycin given emperically to all the patients
2. Fumigation of ward frequently
3. Washing hand before and after attending patients
4. Wearing mask before any invasive procedure in ICU

Correct answer: 3. Washing hand before and after attending patients

Explanation: Hand washing, the oldest, simplest and most effective method of checking hospital cross an infection, which unfortunately is often neglected. Ref: Ananthanarayan& Paniker's textbook of microbiology, 9th edition.